A Protein estimation test is confused with
1. Phosphates
2. Nitrates
3. Sulphates
4. Bile salts

Correct answer: 1. Phosphates

Explanation: On heating the urine, turbidity arises if proteins are present.
However, turbidity also arises if phosphates or carbonates are present in urine. This can leads to confusion.
Addition of few drops of acetic acid dissolves the turbidity due to phosphates or carbonates, whereas turbidity due to proteins remains persistent.